The causative organism can be best isolated in which of the following conditions.
1. Tampons in toxic shock syndrome
2. Rheumatic valvulitis
3. CSF in tetanus
4. Diptheritic myocarditis

Correct answer: 1. Tampons in toxic shock syndrome

Explanation: Staphylococcus aureus can be isolated from a tampon of a patient with toxic shock syndrome. S.aureus strains isolated from patients with toxic shock syndrome produce a toxin called toxic shock syndrome toxin-1 (TSST-1), which can be found in the vagina, on tampons, in wounds or other localized infections, or in the throat but virtually never in the bloodstream. Streptococcal antigens cross-reactive with human tissues ; streptococcal antigen Human antigen Disease Hyaluronic acid Synovial fluid Reactive arthritis Cell wall M protein Myocardium Acute rheumatic fever Cell wall C carbohydrate Cardiac Valves Acute rheumatic fever peptidiglycan skin antigens Guttate psoriasis Cytoplasmic membrane Glomerular capsular intima Acute glomerulonephritis Ref: Textbook of microbiology; Ananthanarayan and paniker's; 10th Edition; Pg:204